Irreversible cell injury is indicated by -
1. Accumulation of calcium in mitochondria
2. Myelin figures
3. ATP depletion
4. Shifting of ribosomes

Correct answer: 1. Accumulation of calcium in mitochondria

Explanation: Ans. is 'a' i.e., Accumulation of calcium in mitochondrion Large, flocculant, amorphous densities in mitochondrial matrix develop due to increased Ca+2 influx. Note : o Small (not large) phospholipid rich amorphous densities are found in reversible injury.